Nosocomial infection is called after how many hours of hospital admission?
1. 12 hours
2. 24 hours
3. 48 hours
4. 72 hours

Correct answer: 3. 48 hours

Explanation: Nosocomial infections Defined as those infections occurring within 48 hours of hospital admission, 3 days of discharge or 30 days of an operation. Gram-positive bacteria are the commonest cause of nosocomial infections withStaphylococcus aureusbeing the predominant pathogen. Hospital-acquired pneumonia-Defined as pneumonia that occurs 48 hours or more after admission and did not appear to be incubating at the time of admission. Ventilator-associated pneumonia-Defined as pneumonia that develops more than 48 to 72 hours after endotracheal intubation.